Which of these is the best for management of a 3 cm stone in renal pelvis without evidence of hydronephrosis?
1. ESWL
2. PCNL
3. Antegrae pyeloplasty
4. Retrograde pyeloplasty

Correct answer: 2. PCNL

Explanation: Generally, ESWLis anon-invasive method used for removal of renal calculi but themaximum size of stone that can be removed by ESWL is up to 1.5 cm If the size of the stone is more than 2 cm then the preferred treatment option is PercutaneousNephrolithotomy (PCNL) Other contraindications to ESWL are obese patient, pregnancy, & patients taking oral anti-coagulants.